The earliest morphological evidence of ovulation is:
1. Pseudo stratification
2. Basal vacuolation
3. Decrease in glycogen content
4. Predecidual reaction

Correct answer: 2. Basal vacuolation

Explanation: Subnuclear (basal) vacuolation : Ist HPE evidence of ovulation ( evidence of progesterone secretion ) Endometrial biopsy Invasive test EBX: HPE (Formalin) and AFB for TB( Normal saline ) Done usually 2-4 days before expected date of menses(D24 - D26) Not done Post menses Secretory endometrium( Progesterone acts) on EBxtells cycle is ovulatory Proliferative endometrium: anovulatory Early secretory Subnuclear vacuolation (Ist HPE evidence of progesterone secretion) Seen on D16 of cycle Nuclei of glands gone up Stromal edema Late secretory Toous/ coiled glands All secretions in lumen of gland Cork screw glands( on D20 of cycle) Max stromal edema seen around D22of cycle) HPE of Proliferative endometrium Pseudostratification Long tubular glands